Menorrhagia is defined as blood loss per vagina more than:
1. 80 ml
2. 110 ml
3. 150 ml
4. 50 ml

Correct answer: 1. 80 ml